ROSE questionnaire is used for
1. Alcohol addiction
2. Sex addiction
3. Angina assessment
4. DVT assessment

Correct answer: 3. Angina assessment

Explanation: The Rose Angina Questionnaire (RAQ) was developed in 1962 to detect ischemic heart pain (angina pectoris and myocardial infarction) for epidemiological field-surveys.1 Since then, the RAQ has been used in many countries to detect coronary heart disease (CHD) in epidemiological research . Ref Davidson edition23rd pg 460